Alpha antitrypsin is synthesized in :
1. Brain
2. Liver
3. Spleen
4. Kidney

Correct answer: 2. Liver

Explanation: 1-Antiproteinase (about 52 kDa) was formerly called 1-antitrypsin, and this name is retained here. It is a single-chain protein of 394 amino acids, contains three oligosaccharide chains, and is the major component (>90%) of the 1 fraction of human plasma. It is synthesized by hepatocytes and macrophages and is the principal serine protease inhibitor (serpin, or Pi) of human plasma. A deficiency of this protein has a role in certain cases (approximately 5%) of emphysema.Deficiency of 1-antitrypsin is also implicated in one type of liver disease. Ref: Murray R.K., Jacob M., Varghese J. (2011). Chapter 50. Plasma Proteins & Immunoglobulins. In D.A. Bender, K.M. Botham, P.A. Weil, P.J. Kennelly, R.K. Murray, V.W. Rodwell (Eds), Harper's Illustrated Biochemistry, 29e.